Weil -felix reaction positive with OXK antigen in -
1. Trench fever
2. Scrub typhus
3. Endemic typhus
4. Epidemic typhus

Correct answer: 2. Scrub typhus

Explanation: Ans. is 'b' i.e., Scrub typhus Weil felix ReactionDiseaseOX-19OX-2OX-KRocky Mountain spotted fever++-Rickettsial pox---Epidemic typhus+--Bril - Zinsser disease+/---Scrub typhus--+Endemic typhus+--Trench fever--_Q fever---